The most common type of spinal tuberculosis is:
1. Anterior
2. Posterior
3. Central
4. Paradiscal

Correct answer: 4. Paradiscal

Explanation: (d)- The initial focus of tubercular infection usually begins in the cancellous bone of vertebral body near the disk (in most common paradiscal type)